True about Helicobacter pylori is -
1. Culture and gram staining of biopsy is the gold standard investigation
2. Controlled urea breath is negative with massive infection.
3. Anti urease antibody are produced only by invasive strains
4. Urease activity provides protective environment to the bacilli.

Correct answer: 4. Urease activity provides protective environment to the bacilli.